A person thinks that others are implanting a machine on his head. It is an example of?
1. Bizarre delusions
2. Non bizarre delusions
3. Hallucinations
4. Illusion

Correct answer: 1. Bizarre delusions

Explanation: Ans. is'a'i.e., Bizarre delusionRef: Niraj Ahuja 6h/e p. 59)A bizarre delusion is a delusion that is very strange and completely implausible (impractical for the person's culture); for example a bizarre delusion would be that aliens have removed the affected person's brain.Bizarre delusions are characteristic of schizophrenia.